Most sensitive screening test in diabetic mothers for congenital malformation is :
1. MS AFP
2. Blood glucose
3. Amniotic fluid AFP
4. Hb Alc (Glycosylated haemoglobin)

Correct answer: 4. Hb Alc (Glycosylated haemoglobin)

Explanation: Hb Alc (Glycosylated haemoglobin)